P wave in ECG is due to :
1. Ventricular depolarization
2. Atrial repolarization
3. Ventricular repolarization
4. Atrial depolarization

Correct answer: 4. Atrial depolarization

Explanation: Ans. (d) Atrial depolarizationECG findingSignificanceP waveAtrial DepolarizationQRSVentricular depolarizationT waveVentricular repolarizationU waveDelayed repolarization of papillary musclesPR intervalSpread of impulse from SAN to AVNST segmentIso-electric segment